A 19-vear-old patient came with c/o primary amenorrhea.She has well developed breasts and pubic hair. However there was absence of vagina and uterus. Likely diagnosis is:
1. Turners syndrome
2. Mullerian agenesis
3. Kinefelter's syndrome
4. Gonadal agenesis

Correct answer: 2. Mullerian agenesis

Explanation: Mullerian agenesis Normal secondary sexual charecters functional ovaries normal hormonal profile primary amenorrhea vagina and uterus absent renal and skeletal anomalies are common SHAW'S TEXTBOOK OF GYNAECOLOGY,Pg no:286,15th edition